enalapril is contraindicated in all of the conditions except
1. Diabetic nephropathy with albuminuria
2. Single kidney
3. Bilateral renal artery stenosis
4. Hyperkalemia

Correct answer: 1. Diabetic nephropathy with albuminuria

Explanation: Refer kDT 6/e p 484 ACE inhibitors of the first choice drugs with diabetic patient with hypertension. These are however contraindicated in pregnancy and other conditions mentioned in the questions